Hydroxyl ions are highly oxidizing free radicals that destroy bacteria by:
1. Damaging the cytoplasmic membrane
2. Protein denaturation
3. Damaging bacterial DNA
4. All of the above

Correct answer: 4. All of the above

Explanation: The release of hydroxyl ions in an aqueous environment is related to the antimicrobial property. Hydroxyl ions are highly oxidizing free radicals that destroy bacteria by:

Damaging the cytoplasmic membrane
Protein denaturation
Damaging bacterial DNA